Lee Jones test is used for -
1. Carbolic acid
2. Arsenic
3. Cyanide
4. Lead

Correct answer: 3. Cyanide

Explanation: Ans. is 'c' i.e., Cyanide Lee Jones testo Few crystals of ferrous sulfate is added to 5 ml of the gastric content,o To it, 5 drops of sodium hydroxide is added,o The mixture is boiled and cooled,o To it, 10 drops of 10% hydrochloric acid is added.o Greenish blue colour indicates cyanide and purplish colour indicates salicylate.